The demographic goal of NRR= 1 can be achieved only if the CPR exceeds:
1. 50%
2. 60%
3. 65%
4. 70%

Correct answer: 2. 60%

Explanation: Couple Protection Rate (CPR) It is defined as the percent of eligible couples effectively protected against childbirth by one or other approved methods of family planning, viz. sterilization, IUD, condom or oral pills. It is an indicator of prevalence of contraceptive practice in the community. Demographers are of the view that the demographic goal of NRR= 1 can be achieved only if the CPR exceeds 60 percent. To achieve NNR=1, ideal contraception is Sterilization.